CD 3 receptor is seen in ?
1. T cells
2. B cells
3. Macrophages
4. Eosinophils

Correct answer: 1. T cells

Explanation: Ans. is 'a' i.e., T cells CD marker Lymphocytes and other leukocytes have a number of surface antigens or marker - leukocyte differentiation antigen. A particular leucocyte differentiation antigen has been given a CD (cluster of differentiation) number on the bases of its reaction with a cluster of monoclonal antibodies. These markers reflect the stage of differentiation and functional properties of cell.